Generation time in epidemiology is defined as -
1. The interval between marriage and the birth of first child
2. The interval of time between the receipt of infection by host and maximal infectivity of the host
3. The interval of time between primary case and secondary cases
4. Interval of time between invasion by infectious agent and appearance of first sign or symptom of the disease in question

Correct answer: 2. The interval of time between the receipt of infection by host and maximal infectivity of the host